Schistosoma is transmitted by -
1. Cyclops
2. Fish
3. Snaile
4. Cattle

Correct answer: 3. Snaile

Explanation: Definite host - man Intermediate host-snail Causative agents of the disease schistosomiasis (refer pgno: 116 baveja 3 rd edition)